Nicotine dependence
1. Physical dependence > psychic dependence
2. Physical dependence < psychic dependence
3. Physical dependence = psychic dependence
4. No tolerance

Correct answer: 2. Physical dependence < psychic dependence

Explanation: (B) Physical dependence < psychic dependence PSYCHOACTIVE SUBSTANCE USE DISORDERSDrugUsual Route of AdministrationPhysical DependencePsychic DependenceTolerance1. AlcoholOral+ ++ ++2. OpioidsOral, Parental, Smoking+ + ++ + ++ + +3. Cannabis (Marihuana)Smoking Oral++ ++4. CocaineInhalation, Oral, Smoking Parental++ +--5. AmphetaminesOral, Parental+ ++ ++ + +6. Lysergic acidOral-++7. BarbituratesOral, Parental+ ++ ++ + +8. BenzodiazepinesOral, Parental+++9. Volatile solventsInhalation++ ++10. Phencyclidine (PCP)Smoking, Inhalation, Parental, Ora!+++11. CaffeineOral++ ++12. NicotineOral, Smoking++ ++-- = None; + = Probable/Little; + = Some / Mild; ++ = Moderate; +++ = Severe.